Most common cause of liver abscess in chronic granulomatous disease
1. Klebsiella
2. Staphylococcus aureus
3. Peptostreptococcus
4. E.coli

Correct answer: 2. Staphylococcus aureus

Explanation: Pyogenic liver abscess in children In children Staphylococcus PLA is most common Occurs in the setting of chronic granulomatous disease disorder of granulocyte function and hematologic malignancies In chronic granulomatous conditions, abscess are dense and thick, early excision and treatment with antibiotics against Staphylococcus aureus is recommended Ref: Sabiston 20th edition Pgno : 1445-1449